Lahsal classification is used for:
1. Cleft lip and palate
2. Tumor staging
3. Neurological assessment of trauma patient
4. None of the above

Correct answer: 1. Cleft lip and palate

Explanation: Any classification for such a diverse and varied condition as cleft lip and palate needs to be simple, concise, flexible and exact but graphic. It must be suitable for computerisation but descriptive and morphological. An example of such a classification is the LAHSHAL system.